Lysis of bacterial colony in culture is seen by which -
1. Pox
2. HSV
3. Bacteriophage
4. CMV

Correct answer: 3. Bacteriophage

Explanation: Bacteriophage: A bacteriophage is a type of virus that infects bacteria. Word "bacteriophage" means "bacteria eater," because bacteriophages destroy their host cells. . Lytic phages can kill the bacteria hence causing lysis in culture medium This property can also be used in treatment of bacterial infection, such as post-burn and wound infections. (Phage therapy)